Inverse Hypopyon is seen in:
1. Fungal Endophthalmitis
2. Bacterial Endophthalmitis
3. Post vitreoretinal surgery with silicon oil
4. Anterior uveitis

Correct answer: 3. Post vitreoretinal surgery with silicon oil

Explanation: Inverse hypopyon is seen because of silicon oil in anterior chamber. Hypopyon : Dense infiltrate of cells/ infective organisms/ particulate in the anterior chamber Types: Inverse hypopyon- Silicon oil in AC Mobile hypopyon- Behcets Disease Infected hypopyon- Fungal corneal ulcer Inverse Hypopyon